A four year old boy was admitted with a history of abdominal pain and fever for two months maculopapular rash for ten days, and dry cough, dyspnea and wheezing for three days. On examination liver and spleen were enlarged 4 cm and 3 cm respectivley below the costal margin. His hemoglobin was 10.0 g/dl, platelet count 3.7 x 1091L and total leukocyte count 70 x 109/L, which included 80% eosinophils Bone marrow examination revealed a cellular marrow comprising of 45% blasts and 34% Eosinophils and eosinophil precursors. The blasts stained negative for my eloperoxidase and nonspecific esterase and were positive for CD19, CD10, CD22 and CD20. Which one of the following statements is not true about disease?
1. Eosinophils are not part of the Neoplastic clone
2. t (5:14) rearrangement may be detected in blasts
3. Peripheral blood eosinophilia may normalize with chemotherapy
4. Inv (16) is often detected in the blasts and the eosinophils

Correct answer: 4. Inv (16) is often detected in the blasts and the eosinophils

Explanation: Ans. is 'd' i.e., Invert 16 often detected in the blasts and the eosinophil This is a case of ALL with hypereosinophillic syndrome. Inv (16) is associated with AML ( not ALL,) o The neoplastic cells are formed of lymphoblasts only. The eosinophils do not constitute the neoplastic cells. o The increased eosinophils are not blast cells, they are eosinophilic precursors. The eosinopilia is believed be a reactive process.